Portal vein is related to all except :
1. Pancreas
2. Gall bladder
3. Inf. vena cava
4. CBD

Correct answer: 2. Gall bladder

Explanation: B. i.e. Gall Bladder